In which of the following condition can cause loose body in the joint - ?
1. RA
2. Ankylosing spondylitis
3. OA
4. SLE

Correct answer: 3. OA

Explanation: Osteoarthritis: Is a degenerative bone disease. c/f: Occurs in major joints of lower limbs mostly bilateral. Pain is earliest symptom.initially dull pain and comes on starting an activity after aperiod of restjbut later becomes worse and cramp like,and comes after activity. A coarse crepitus may be there Swelling is a late feature Stiffness is initially due to pain and muscular spasm,later capsular contracture and incongruity of joint surface contribute to it. Investigations: Radiological examination- Narrowing of joint space Subchondral sclerosis Subchondral cyst Osteophyte formation Loose bodies Deformity of joints. REF:Essential Orthopaedics.Maheswari &Mhaskar.Edition 9 Pg no:296